District population 10 lac, with under-I o are 30%, prevalence of blindness is 0.8/1000 of under-16 population. Calculate the no. of blind under-16
1. 240
2. 2400
3. 24000
4. 240000

Correct answer: 1. 240

Explanation: Ans. a. 240 Prevalence = 0.8/1000 District Population = 10 Lakhs Under 16 = 30% of district population Hence, total population of under 16 = 3 Lakhs Hence, No. of blind under 16 = 0.8 x 3,00,000/1,000 = 240